Antibody found in myositis
1. Anti jo 1
2. Anti scl 70
3. Anti Sm
4. Anti ku

Correct answer: 1. Anti jo 1

Explanation: Refer Harrison 17th/2038